Following features may be seen in the cold injury of neonates except –
1. Bradycardia
2. Uncontrolled shivering
3. Scleroma
4. Metabolic acidosis

Correct answer: 2. Uncontrolled shivering

Explanation: "Neonates Respond by Non-shivering the ".